Neurofibromatosis is associated with all except
1. Autosomal recessive
2. Cutaneous fibromas
3. Cataract
4. Scoliosis

Correct answer: 1. Autosomal recessive

Explanation: "Neurofibromatosis may occur either sporadically or on a familial basis with autosomal dominant inheritance". Two distinct forms are recognized: a. Type 1 (Recklinghausen disease) is characterized by multiple hyperpigmented macules and neurofibromas and b. Type 2 by eighth nerve tumors, often accompanied by other intracranial or intraspinal tumors c. Meningiomas, gliomas (especially optic nerve gliomas), bone cysts, pheochromocytomas, scoliosis, and obstructive hydrocephalus may also occur. d. Type 2 NF is associated with cataracts.